Chorda tympani leaves skull through?
1. Stylomastoid foramen
2. Petrotympanic fissure
3. Internal acoustic meatus
4. Foramen ovale

Correct answer: 2. Petrotympanic fissure

Explanation: The chorda tympani arises in the vertical part of the facial canal about 6 mm above the stylomastoid foramen. It runs upwards and forwards in a bony canal. It enters the middle ear and runs forwards in close relation to the tympanic membrane. It leaves the middle ear by passing through the petrotympanic fissure. It then passes medial to the spine of the sphenoid and enters the infratemporal fossa. Here it joins the lingual nerve through which it is distributed Ref BDC volume3,6th edition pg 140